In gastric ulcer which artery is involved
1. Left gastric artery
2. Right gastric artery
3. Hepatic artery
4. Gastroduodenal artery

Correct answer: 1. Left gastric artery

Explanation: Left gastric artery and splenic artery are the main arteries involved in the gastric ulcers. Ref: Gray's 40/ep-1179-80